Upper motor neuron lesion is characterized by:
1. Weakness and spasticity
2. Fasciculation's
3. Rigidity
4. Localized muscle astrophy

Correct answer: 1. Weakness and spasticity

Explanation: UMN LMN Pyramidal & Extra pyramidal tracts involved Motor neurone of spinal cord & Neurons of cranial nerve nuclei are involved Group of Muscle affected Single Muscle affected Tone - | Lost Power - Normal or no loss Lost Superficial & deep reflexes lost Lost Babinski's sign present Absent Clonus present Absent Clasp knife reflex present Absent Spasticity Absent